Which one of the following is not a amide
1. Lignocaine/Lidocaine
2. Procaine
3. Bupivacaine/Mepivacaine
4. All

Correct answer: 2. Procaine

Explanation: B i.e. Procaine